Which of the following liver tumor has a propensity to invade the portal or hepatic vein?
1. Cavernous hemangioma
2. Hepatocellular carcinoma
3. Focal nodular hyperplasia
4. Hepatic adenoma

Correct answer: 2. Hepatocellular carcinoma

Explanation: Ans. (b) Hepatocellular carcinomaRef: Sabiston 19/e p 1456* There are two tumors which can grow into veins# HCC# Renal Cell cancer